Real Time PCR is used for:
1. Multiplication of RNA
2. Multiplication of specific segments of DNA
3. Multiplication of Proteins
4. To know how much amplification of DNA has occurred

Correct answer: 4. To know how much amplification of DNA has occurred

Explanation: Ans. (d) To know how much amplification of DNA has occured P"F 1,m,etz. 25/e 714, 27/e, p 124; Greenwood 18/e 79 Real Time. PCR It is the molecular detection technique that discriminates real time amplification from conventional PCR assays. The real-time polymerase chain reaction (PCR) uses fluorescent reporter molecules to monitor the production of amplification products during each cycle of the PCR reaction. This combines the DNA amplification and detection steps into one homogeneous assay and obviates the requirement for gel electrophoresis to detect amplification products. Its simplicity, specificity, and sensitivity, together with its, more reliable instrumentation, and improved protocols, has made realtime oenLhmark technology for lite ocLuLtion of DNA. Real time PCR is extremely useful in medical microbiology, with greatest impact on virology.